Charge syndrome includes all except:
1. Coloboma
2. Heart defects
3. Urogenital anomalies
4. Esophageal atresia

Correct answer: 4. Esophageal atresia

Explanation: Ans. (d) Esophageal atresiaRef: Yanojf and Duker 4/e, p. 872; Kanski 7/e, p. 806Systemic associations of optic disc colobomaPapillorenal syndrome-AD-renal and urinary tract malformations with retinochoroidal and optic disc coloboma, morning glory syndrome, retinal detachmentPatau syndrome (Trisomy 13)Edwards syndrome (Trisomy 18)Cat-eye syndrome (Trisomy 22)CHARGE syndrome [?] - Coloboma, heart defects, choanal atresia, retarded growth, ear anomalies.Central nervous system anomalies.Walker-warburg syndromeGoldenhar's syndromeLinear sebaceous nevusDandy-Walker syndromeOptic nerve colobomas typically involve the inferior part of the nerve, superior rim is usually spared.